Rhinophyma is associated with which of the following?
1. Infection of hair follicles
2. Hypertrophy of sebaceous gland
3. Congenital deformity of the nose
4. Hypertrophy of sweat gland

Correct answer: 2. Hypertrophy of sebaceous gland

Explanation: RHINOPHYMA / POTATO NOSE / RUM NOSE / COPPER'S NOSE / TOPPER'S NOSE / BRANDY NOSE
• Benign tumor due to hypertrophy of sebaceous glands of tip of nose.
• Seen in cases of long-standing acne rosacea.
• Precipitated by: Spicy food, Heat, Alcohol
• Treatment: Laser (CO2) Excision with skin grafting and Avoidance of alcohol.